Superior gluteal nerve exits the pelvis superior to the piriformis muscle, through the greater sciatic notch. All of the following muscles are supplied by superior gluteal nerve, EXCEPT:
1. Gluteus medius
2. Gluteus maximus
3. Tensor fascia lata
4. Gluteus minimus

Correct answer: 2. Gluteus maximus

Explanation: Muscles supplied by superior gluteal nerve (L4, L5, S1): 1. Gluteus medius muscle2. Gluteus minimus muscles3. Tensor fascia lata muscle Gluteus maximus is supplied by inferior gluteal nerve (L5, S1, S2). Also know: Of all the nerves that pass through the greater sciatic foramen, the superior gluteal nerve is the only one that passes above the piriform muscle. Ref: Gray's Basic Anatomy: with STUDENT CONSULT Online Access By Richard Drake, A. Wayne Vogl, Adam W. M. Mitchell, 2012, Page 283; BDC, 4th Edition, IInd vol, Page 73,74.